Recesses of the angle of anterior chamber are best visualized by:
1. Keratometer
2. Tonometer
3. Gonioscope
4. Snellen's chart

Correct answer: 3. Gonioscope

Explanation: Ans. C i.e. Gonioscope Tests/ procedures in ophthalmoscopy Direct ophthalmoscopy: - Image is virtual & erect, - Magnified 15 times Indirect ophthalmoscopy: - Image is real & inverted; - Magnified 5 times; - It is done for examination of periphery of retina (upto orra serrata) Keratometry: Measures curvature of cornea Electronystatogram: Graph of movement of eye Anomoloscope: Detects colour blindness Retinoscopy: Objective assessment of refractive state of eye Gonioscopy: Measures angle of anterior chamber Tonometry: - Measures intraocular pressure; - Best is applanation tonometry Swinging flash test: Tests pupil Snellen chart tests: Vision Ishihara plates, Hardy Rand Rattler plates: Color vision Landolt's rings: Visual acuity in illiterates, children Macular function tests: - Card board test (2 point discrimination test); Amsler grid test; - Maddox rod test etc.